True about western blot:
1. Separation of proteins are based on mass
2. SDS-PAGE electrophesis is used for separation
3. Enzyme linked antibodies are used
4. All

Correct answer: 4. All

Explanation: A i.e. Separation of proteins are based on mass; B i.e. SDS-PAGE electrophesis is used for separation; C i.e. Enzyme linked antibodies are used